Which of the following drug is used as a Transcranial patch for Parkinson's disease
1. Levodopa
2. Rotigotine
3. Selegiline
4. Carbidopa

Correct answer: 2. Rotigotine

Explanation: Rotigotine is a non-ergot dopamine agonist indicated for the treatment of Parkinson's disease (PD) and restless legs syndrome (RLS). It is formulated as a once-daily transdermal patch which provides a slow and constant supply of the drug over the course of 24 hours. However, it was withdrawn in 2008 because of crystal formation on the patches, affecting the bioavailability and efficacy of this drug.